Which of the following is NOT a constituent of Virchow's triad?
1. Damage to endothelium due to injury or inflammation
2. Diminished rate of blood flow
3. Increased coagulability of blood
4. Increased venous blood pressure

Correct answer: 4. Increased venous blood pressure